When a surgeon wants to send the autopsy specimen for virological examination, it should be preserved in -
1. 50% glycerine
2. 10% formalin
3. Rectified spirit
4. Saturated solution of common salt

Correct answer: 1. 50% glycerine

Explanation: 50% glycerine is used as preservative to send autopsy specimen for virological examination.